All of the following about PDA are true except ?
1. More common in males
2. Common heart lesion in rubella
3. Treatment is closure of defect by ligation and division of ductus
4. Hypo xi a and immaturity are important in maintaining the patency

Correct answer: 1. More common in males

Explanation: Ans. is 'a' i.e., It is more common in males than females PDA is more common in females than males - Nelson Lesions more common in girls Lesions more common in boys ASD PDA TGA VSD Pulmonic stenosis Left sided obstructive lesions